Pure gonadal dysgenesis will be diagnosed in the presence of
1. Bilateral streak gonads
2. Bilateral undescended testes in male
3. One side streak and other side normal gonad
4. One side dysgenetic testis and other side dysgenetic ovary

Correct answer: 1. Bilateral streak gonads

Explanation: Pure gonadal dysgenesis is characterised by B/L streak gonads. The external phenotype is female and mullerian structures are present. Usually present with primary amenorrhea (hypergonadotropic hypogonadism)